True about Ludwig's angina-a) Involves both submandibular and sublingual spacesb) Most common cause is dental infectionc) Bilaterald) Spreads by lymphatics
1. ab
2. abc
3. acd
4. bcd

Correct answer: 2. abc

Explanation: Ludwig's angina is a rapidly spreading bilateral cellulitis that involves the floor of mouth, under the tongue.
Floor of mouth is comprised of sublingual space, submandibular space and submental space. Ludwig's angina usually begins in the submandibular space, and then rapidly spreads to involve the sublingual space, usually on a bilateral basis.
Most common cause is infection of the root of the teeth (Dental infection), especially 2nd and 3rd mandibular molar. Other causes are mouth injury, mandibular fracture, and submandibular sialadenitis.